Which of the following has antiemetic action?
1. Propofol
2. Thiopentone
3. Ether
4. Nitrous oxide

Correct answer: 1. Propofol

Explanation: ANSWER: (A) PropofolREF: Miller's Anaesthesiology 7th Ed Ch 25"A unique action of propofol is its antiemetic effect, which remains present at concentrations less than those producing sedation/'Propofol's antiemetic action may be explained by the decrease in serotonin levels it produces in the area postrema, probably through its action on GABA receptors. Two notable side effects of propofol are its antiemetic effect and a sense of well-being in patients. The antiemetic effect gives a special advantage in day care anaesthesia.